Facultative hypermetropes manage to see because of:
1. Wrinkling of eye
2. Ciliary muscle contraction
3. Accommodation
4. Use of cycloplegics

Correct answer: 3. Accommodation

Explanation: Ans. Accommodation